Transfer of a portion of the DNA from one bacterium to another by the bacteriophage is known as
1. Transformation
2. Mutation
3. Transduction
4. Conjugation

Correct answer: 3. Transduction

Explanation: In transduction, donor DNA is carried by a phage coat and is transferred into the recipient by the mechanism used for phage infection.Reference: Jawetz, Melnick, & Adelberg's Medical Microbiology; 27th edition; Chapter 7; Microbial Genetics